Physiological requirements for drinking water have been estimated at about ____litres per head per day.
1. 1 litre
2. 2 litre
3. 3 litre
4. 4 litre

Correct answer: 2. 2 litre

Explanation: The basic physiological requirements for drinking water have been estimated at about 2 litres per head per day. This is just for survival. But from .the standpoint of public health and improvement of the quality of life, water should be provided in adequate volume. It will help to reduce the incidence of many water-related diseases among the people most at risk.